Prostaglandins are derived from :
1. Corticosteroids
2. Oleic acid
3. Linoleic acid
4. Arachidonic acid

Correct answer: 4. Arachidonic acid

Explanation: Prostaglandins are derived from arachidonic acid through the cyclooxygenase (COX) pathway.Two isoforms of COX have been recognized.COX-1 is expressed constitutively, whereas COX-2 is induced by growth factors, tumor promoters, and proinflammatory cytokines.COX catalyzes oxidative cyclization of arachidonic acid to prostaglandin endoperoxide, which is the immediate precursor of prostaglandins, thromoboxane, and prostacyclin